Cystic compressible, translucent swelling in the posterior triangle of neck -
1. Cystic hygroma
2. Branchial cyst
3. Thyroglossal cyst
4. Dermoid cyst

Correct answer: 1. Cystic hygroma

Explanation: Ans. is 'a' i.e., Cystic hygroma